Least chance of infective endocarditis is associated with
1. MIld AS
2. Mild AR
3. Small ASD
4. Small VSD

Correct answer: 3. Small ASD

Explanation: Infective endocarditis (IE) is a microbial infection of the heart valves or the mural endocardium that leads to the formation of vegetations composed of thrombotic debris and organisms, often associated with destruction of the underlying cardiac tissues. The aorta, aneurysms, other blood vessels, and prosthetic devices can also become infected. Although fungi and other classes of microorgan- isms can be responsible, most infections are bacterial (bacte- rial endocarditis). Prompt diagnosis, identification of the offending agent, and effective treatment of IE is important